Which of the following signs refers to splenic injury ?
1. Balance's sign
2. Kehr's sign
3. Tenderness of the 9th and 10th left rib
4. All the above

Correct answer: 4. All the above

Explanation: Kehr's sign is pain in the left shoulder. Balance's sign is shifting of dullness towards the right side.